The pulp horn that is most likely to be exposed during cavity preparation on deciduous molars is
1. Mesiobuccal of first molar
2. Distobuccal of first molar
3. Mesiobuccal of second rnolar
4. Distobuccal of second molar

Correct answer: 1. Mesiobuccal of first molar